All are food fortification except -
1. Addition of colour to saccharin
2. Addition of Vit A to food stuff
3. Addition of extra nutrients to food stuff
4. Iodisation of salt

Correct answer: 1. Addition of colour to saccharin

Explanation: Food fortification :- Public health measure aimed at reinforcing the usual dietary intake of nutrients with additional supplies to prevent/control some nutritional disorders. WHO has defined it as the process by which nutrients are added to foods to maintain or improve the quality of diet of a group, community or a population. Programmes demonstrated effectiveness of fortification of food or water are: 1. Flouridation of water as a preventive dental caries. 2. Iodization of salt for combating the problem of endemic goitre. 3. Food fortification(eg: vanaspati, milk) with vitamins A and D. 4. Twin fortification of salt with iron and iodine. In order to qualify as suitable for fortification, the vehicle and nutrient must fulfill certain criteria: 1. The vehicle fortified must be consumed consistently a part of regular daily diet by the relevant sections of the population or total population. 2. The amount of nutrient added must provide an effective supplement for low consumers of the vehicle, without contributing a hazardous excess to high consumers. 3. The addition of nutrient should not cause it to undergo any noticeable change in taste, smell appearance or consistency. 4. The cost of fortification must not raise the price of food beyond reach of the population in greatest need. Food additives: Defined as non nutritious substances which are added intentionally to food , generally in small quantity, to improve its appearance, flavour , texture, or storage properties. Eg: colouring agents(saffron), flavouring agents(vanilla essence), sweeteners(saccharin). Reference: Park's textbook of community medicine 23 rd edition pg no. 658}